Annual blood smear examination rate is an indicator of-
1. Disease rate (Prevalence)
2. Operational efficiency
3. % of transmission of malaria
4. Infectivity rate

Correct answer: 2. Operational efficiency